Normal serum calcium level is:
1. 4-6 mg/dl
2. 9-11 mg/dl
3. 19-21 mg/dl
4. 20-30 mg/dl

Correct answer: 2. 9-11 mg/dl

Explanation: Normal Blood Calcium level-9 : 11 mg/dl
Total Calcium level in the body is 1.5 kg.